Male to male transmission is not seen in:
1. Autosomal dominant diseases
2. Autosomal recessive disease
3. X-linked dominant disease
4. Genomic imprinting

Correct answer: 3. X-linked dominant disease

Explanation: Since a male transmits only the 'Y' chromosome to his son, so obviously he cannot transmit any X linked disease Therefore Male to male transmission is not seen in X-linked dominant disease